Counter current mechanism, all are true except
1. Occurs due to opp flow in vasa recta and loop of henle
2. Seen in medullary nephron
3. Helps in creating osmolarity gradient
4. Urea has no role

Correct answer: 4. Urea has no role

Explanation: Countercurrent mechanism, a system in the renal medulla that facilitates concentration of the urine as it passes through the renal tubules, were medullary osmolarity created by urea.Ref: Ganong's review of medical physiology; 24th edition; page no; 687